Krogmans table system is used for ?
1. Age determination
2. Sex determination
3. Dental examination
4. Calculating estimated height

Correct answer: 2. Sex determination

Explanation: Ans. is 'b' i.e., Sex determination Krogman's table is used to determine the percentage of accuracy in sex determination from isolated skeletal parts.According to Krogman, the degree of accuracy in sexing adult skeletal remains is :-Entire skeleton - 100 %Pelvis alone 95 %